"Golden S" sign is seen in
1. Bronchogenic carcinoma with upper lobe collapse
2. Bronchogenic carcinoma with lower lobe collapse
3. Bronchogenic carcinoma in interlobular fissure
4. Hydatid cyst

Correct answer: 1. Bronchogenic carcinoma with upper lobe collapse

Explanation: i.e. (Bronchogenic carcinoma with upper lobe collapse): (Internet) Golden S sign is a sign seen on imaging of the chest that suggests a central lung mass or lung collapse. It was first described by Golden in 1925 in association with bronchial carcinoma, but it is also seen in metastatic cancer, enlarged lymph nodes, and collapse of the right upper lobe of the lung. The Golden S sign can be seen on plain radiographs as well as on computed tomography (CT) scans of the chest. The sign is seen in the right lung as a distorted minor fissure, whose lateral aspect is concave inferiorly and whose medial aspect is convex inferiorly. This produces a "reverse S" appearance, responsible for the sign being occasionally called the reverse S sign of Golden Right upper lope collapse around a large central mass. Discussion: The mass prevents the central part of the lobe from losing volume. Because the peripheral lobe collapses and the central portion doen't. It appears convex centrally and concave peripherally. The shape therefore resembles an S or reverse S, and is called the Golden S sign after Golden's description of cases of lobar collapse caused by carcinoma of the lung. Golden S sign - The sign is seen in the right lung as a distorted minor fissure * Floating membrane sign" in liver found in Hydatid disease * Floating water lily sign is seen in Hydatid cysts** Egg Shell Calcifications * Silicosis * Sarcoidosis * Scleroderma * Histoplasmosis * Amyloidosis * Lymphoma following radiotherapy " Popcorn calcification" is pathognomic for Hemartoma on chest X-ray (562-H17th) Pulmonary embolism - X-ray chest findings Hampton's hump As peripheral wedge shaped opacity due to pulmonary infarct Wester mark's sign It is a focal area of oligemia due to vasoconstriction distal to embolus Palla's sign Enlarged right descending pulmonary artery